All of the following are true about Cephalohematoma except
1. Increases in size for 12 - 24 hours after birth
2. It is subperiosteal hemorrhage
3. May be associated with Jaundice
4. May cross suture line

Correct answer: 4. May cross suture line

Explanation: Characteristic
Caput succedaenum
Cephal hematoma


Incidence → 
More common Edema in layers of scalp
Superficial, diffuse swelling
May cross suture line
Less common Subperiosteal hemorrhage
Deep, locatised swelling
Do not cross suture line


Content → 
Fluid 
Blood


Time of presentation → 
Maximum size at birth
Increasing size for 12 - 24 hours after birth


Disappear in →
48 - 72 hours
4 - 6 Weeks